Hypersensitivity pneumonitis, all are true except:
1. Due to organic dusts/proteins
2. Leads to fibrosis of lung parenchyma (Interstitial lung disease)
3. Farmers lung is an example of HP
4. Bronchoalveolar lavage will have increased eosinophils

Correct answer: 4. Bronchoalveolar lavage will have increased eosinophils

Explanation: BAL fluid will have increased neutrophils (NOT EOSINOPHILS).